Hand and foot syndrome is due to ?
1. Vincristine
2. Cisplatin
3. 5 FU
4. Azathioprine

Correct answer: 3. 5 FU

Explanation: Ans. is 'c' i.e., 5 FU